An oblique # of the olecranon. If displaced proximally. The treatment is :
1. Excision & resuturing
2. Tension band wiring
3. Elbow is immobilized by cast
4. Open reduction & external fixation

Correct answer: 2. Tension band wiring

Explanation: "Oblique fracture may need a lag screw, neutralization by tension band system or plate". - Apley's.
Treatment of olecranon fracture :

Treatment of olecranon fracture may be either conservative or surgical.

Conservative treatment :

Conserative treatment includes immobilization in above elbow slab. Indications are :


Undisplaced fractures.
​Displaced fracture with displacement less than 2 nun.

Surgical treatmentn :

It is indicated in displaced fracture (> 2mm) and in avulsion fractures due to triceps pull.


Methods of fixation are :

Open reduction and internal fixation by figure of 8 tension band wiring (TB W) : It is the most commonly used method for olecranon fracture. This method is used for avulsion fractures : transverse fractures when the fracture is proximal to coronoid : and sometimes oblique fractures.
Lag screw fixation (interfragmentary screw) : Used in comminuted fracture when the distal fragment is displaced anteriorly and in the oblique fracture.
Plate and screw fixation with grafting : Displaced comminuted fracture where tension band wiring is not possible.
Excision of the proximal fragments.